Among the areas mentioned, the highest number of noradrenergic neurons is present in:
1. Locus ceruleus
2. Nucleus raphe magnus
3. Periaqueductal grey
4. Medial longitudinal fasciculus

Correct answer: 1. Locus ceruleus

Explanation: Locus coeruleus has max number of nor-adrenergic neurons Nucleus raphe magnus has max number of serotonergic neurons Periaqueductal grey has max number of enkephalinic neurons Medial longitudinal fasciculus has max number of Dopaminergic neurons It is implicated in reward & addictive behavior But now nucleus accumbens is said to be involved in reward & addictive behavior